Best marker for prediction of coronary artery disease aEUR'
1. LDIJHDL
2. Serum cholesterol
3. Cholesterol/TG
4. Blood cholesterol

Correct answer: 1. LDIJHDL

Explanation: LDL/HDL Risk factors for atherosclerosis and cardiovascular complications (Braunwald) Abnormalities in plasma lipoproteins and derangement in lipid metabolism rank as the most firmly established risk factors for atherosclerosis. Adjusted relative risk for future cardiovascular events for selected lipid fractions and lipid rations in decreasing order are given in the following table Relative risk for future Lipid Fractions and lipid Cardiovascular events Ratios cardio * Total chotesterol : HDL Cholestrol Ratio (TC : HDLC) * Apopratein B100: HDL Cholesterol Ratio (APo B100: HDLC) * LDL Cholesterol : HDL Cholesterol Ratio (LDLC: HDLC) * Apoprotein 8100: Apoprotein A -1 (APO B100: APO Al) * Non HDL Cholesterol fraction * Apolipoprotein B -1 Fraction * * HDL cholesterol Fraction * Total cholesterol Fraction Decreasing Predictivity * Apolipoprotein Al Fraction of Risk * LDL cholesterol Fraction